High-Grade Squamous Intraepithelial Lesions (HSIL) are found on pap smear. Next step(s) of management:
1. Colposcopic study and biopsy of suspicious lesions
2. Hysterectomy
3. Radiotherapy
4. Liquid based cytology

Correct answer: 1. Colposcopic study and biopsy of suspicious lesions

Explanation: Ans. is a, i.e., Colposcopic study and biopsy of suspicious lesionsPap smear is a screening test, so whenever you get LSIL or HSIL on report you have to confirm it by doing a colposcopy and biopsy. If some growth is visible then instead of colposcopy, punch biopsy should be done.* Pap smear is only a screening test. To confirm we need to do a biopsy.* In all visible lesions punch biopsy should be done* In case of invisible lesion colposcopic directed biopsy is the gold standard. Thus in this case since it is not mentioned growth is visible so we do colposcopy guided biopsy.HPV DNA testing is not recommended for HSL as in most of the cases it will be positive and that does not alter the management."If typical genital warts are found in young women or if HSIL or invasive cancer is identified on cytology or histology, then HPV infection is assumed, and HPV testing is unnecessary."